Bacitracin sensitivity is used to differentiate ?
1. Group A Streptococcus from staphylococci
2. Group A streptococcus from other Beta hemolytic streptococci
3. Group A streptococcus from Gamma hemolytic streptococci.
4. Group A streptococcus from Alpha hemolytic streptococci

Correct answer: 2. Group A streptococcus from other Beta hemolytic streptococci

Explanation: Ans. is 'b' i.e., Group A streptococcus from other Beta hemolytic streptococci The bacitracin susceptibility test is used to distinguish Group A streptococci, from other streptococci. This test is used to determine the effect of small amount of bacitracin (0.04U) on an organism.